Muscle tone increasing in patient trying to relax the muscles is seen in?
1. Paratonia
2. Myotonia
3. Spasticity
4. Rigidity

Correct answer: 1. Paratonia

Explanation: Muscle tone increasing in patient trying to relax the muscles is seen in Paratonia. Paratonia (gegenhalten) is increased tone that varies irregularly in a manner seemingly related to the degree of relaxation, is present throughout the range of motion and affects flexors and extensors equally; it usually results from disease of the frontal lobes. Paratonia can be distinguished from spasticity by observing a lack of exaggerated deep tendon reflexes and a lack of a clasp-knife response. It can be distinguished from Parkinsonian (aka "lead-pipe") rigidity in that the amount of resistance in Parkinsonian rigidity does not vary with the velocity of the movement.